Which is NOT a feature of primary hyperaldosteronism -
1. Hypokalemia
2. Hypertension
3. Hypernatremia
4. Increased renin level

Correct answer: 4. Increased renin level

Explanation: there is potassium depletion causing hypokalemia , increased sodium reabsorption causing hypernatremia, and hypertension ( Harrison 17 pg 2260)